Streptokinase causes increase in -
1. Plasmin
2. Thrombin
3. Kallikrein
4. AngiotensinII

Correct answer: 1. Plasmin

Explanation: Ans. is 'a' i.e., Plasmin Streptokinaseo Fibrinolytic drugo Obtained from group C streptococcio Streptokinase is inactive as such. It combines with circulating plasminogen molecules to form an activator complex, which then causes limited proteolysis of other plasminogen molecules to generate active enzyme plasmin.